Adipocytes use which of following:
1. GLUT1
2. GLUT2
3. GLUT3
4. GLUT4

Correct answer: 4. GLUT4

Explanation: GLUT4 is expressed exclusively in adipocytes and skeletal and heart muscles, and translocation of GLUT4 from an intracellular pool to the plasma membrane is a major mechanism of the insulin-stimulated glucose uptake in these tissues adipocytes, and Chinese hamster ovary (CHO) cells expressing Gq-coupled bradykinin B2 receptors (BK2Rs).The bradykinin-stimulated GLUT4 translocation may explain the exercise-induced glucose uptake in muscle cells.